Which of the following is true regarding Horner's syndrome?
1. Constriction of pupil
2. Complete ptosis
3. Excessive sweating
4. Loss of accommodation

Correct answer: 1. Constriction of pupil

Explanation: Ref: Basak's Essentials of Ophthalmology, 5th edition Explanation: HORNER'S SYNDROME Clinical Features Miosis. Partial ptosis. Enophthalmos. Loss of ciliospinal reflex (Unilateral absence of sweating). Congenital Horner's syndrome is associated with Heterochromia Iris. Path: Damage to sympathetic innervation of the eye. Etiology In the cervical region o Apical bronchial carcinoma o Ca of neck glands. Centrally o Multiple sclerosis o Pontine tumor o Syringomyelia. Pupillary light reflex and accommodation are normal. Dilation is affected. How to differentiate Pre and Postganglionic sympathetic lesions? If the lesion lies peripherally (Post-ganglionic), it dilates rapidly with 1 in 1000 adrenaline drops. This is due to Denervation super-sensitivity. Ptosis can be corrected for the cosmetic purpose by Mullerectomy.